NOT a cause of granular contracted kidney -
1. Diabetes mellitus
2. Chronic pyelonephritis
3. Benign nephrosclerosis
4. Chronic glomerulonephritis

Correct answer: 1. Diabetes mellitus